Ataxaia telengiectasia is associated with all of the following except :
1. Recurrent sinopulmonary infections
2. Lymphatic reticular malignancies
3. Increased fraction of IgA immunoglobulins
4. Insulin resistance

Correct answer: 3. Increased fraction of IgA immunoglobulins

Explanation: Answer is C (Increased fraction of IgA immunoglobulins) : Although 8 lymphocytic development is normal most patients are deficient in serum IgE and IgA - Harrison